Undescended testis can lead to all of the following complications except:
1. Torsion
2. Sterility
3. Carcinoma
4. Hypertrophy of testes

Correct answer: 4. Hypertrophy of testes

Explanation: Ans: D i.e. Hypertrophy of testes Complications of undescended testes Torsion can be seen in incomplete testicular descent Sterility is seen in bilateral cases (especially intra-abdominal testes) Incomplete testicular descent predisposes to malignant disease; cancer is more common in an incompletely descended testes-orchidopexy may or may not diminish the risk. Atrophy of an inguinal testes before puberty may possibly be caused by recurrent minor trauma.